All of the following are features of splenic rupture on plain X --ray abdomen , EXCEPT:
1. Obliteration of psoas shadow
2. Obliteration of splenic outline
3. Obliteration of colonic air bubble
4. Elevation of the left hemidiaphragm

Correct answer: 3. Obliteration of colonic air bubble

Explanation: * Features of splenic rupture on plain X-ray abdomen: 1. Obliteration of splenic outline. 2. Obliteration of the psoas shadow. 3. Fracture oflower ribs ofleft side. 4. Free fluid between gas-filled intestinal coils. 5.Elevation of the left hemidiaphragm. Indentation of the gastric air bubble